All the following are Derivatives of Dorsal mesogastrium except
1. Greater Omentum
2. Falciform Ligament
3. Gastrophrenic Ligament
4. Gastrosplenic Ligament

Correct answer: 2. Falciform Ligament

Explanation: The derivatives of Dorsal mesogastrium are:(1) The greater or caudal part of the dorsal mesogastrium becomes greatly elongated and forms the greater omentum.(2) The spleen develops in relation to the cranial part of the dorsal mesogastrium and divides it into dorsal and ventral parts. The ventral part forms the gastrosplenic ligament while the dorsal part forms the lienorenal ligament. (3) The cranial most part of the dorsal mesogastrium forms the gastrophrenic ligament. The ventral mesogastrium forms the falciform ligament.Reference: Chaurasia Volume II; 7th edition; Page no: 270